Difference between Dispensary and PHC is that a PHC-
1. Gives integrated services
2. Is confined to particular area
3. Is managed by medical officer
4. Is located in rural areas

Correct answer: 1. Gives integrated services

Explanation: Primary health care is a basic unit,to provide as close to the people as possible,an intergrated curative and preventive health care to the rural population with emphasis on preventive and promotive aspects of health care (refer pgno:904 park 23 rd edition)